In a patient taking oral contraceptive, the chance of pregnancy increases after taking any of the following drugs EXCEPT:
1. Phenytoin
2. Griseofulvin
3. Ampicillin
4. Cimetidine

Correct answer: 4. Cimetidine